Prevention of mother to child transmission (PMTCT) of HIV surveillance is under?
1. NACPI
2. NACPII
3. NACPIII
4. NACPIV

Correct answer: 3. NACPIII

Explanation: ANSWER: (C) NACP IIIREF: style="font-size: 1.04761904761905em; font-family: Times New Roman, Times, serif; margin: 0 0 8pt 8px; text-indent: 0; text-align: left">One of the significant achievements of NACP is a credible HIV sentinel surveillance system. Information gathered through HIV sentinel surveillance, behavioural sentinel surveillance and STD surveillance helps in tracking the epidemic and provides the direction to the programme. Under NACP-III, PPTCT surveillance and ANC surveillance system are planned to be included in the programme.